Poliomyelitis is mainly transmitted by:
1. Droplet infection
2. Hematogenous route
3. Parenteral route
4. Faecal-oral route

Correct answer: 4. Faecal-oral route

Explanation: Ans. D i.e. Faecal-oral route Diseases that spread the fecal-oral route Giardiasis Hepatitis A and E Rotavirus Shigellosis (bacillary dysentery) Typhoid fever Vibrio parahaemolyticus infections Enteroviruses, including poliomyelitis Cholera Clostridium difficile Cryptosporidiosis Ascariasis